All are true about Glomus jugulare tumours except:
1. Common in females
2. Causes conductive deafness
3. It is a disease of infancy
4. It invades labyrinth, petrous pyramid and mastoid

Correct answer: 3. It is a disease of infancy

Explanation: (c) It is a disease of infancy(Ref. Scott Brown, 8th ed., Vol 2 page 1303)Glomus is seen most commonly in middle age (40 - 50 yrs) usually in females. It presents with conductive deafness and pulsatile tinnitus.It is a benign but locally invasive tumour and can invade mastoid, labyrinth, petrous pyramid, jugular foramen, Eustachian tube and middle/posterior cranial fossa.